Lancefield classification is based on which of the following cellular structure?
1. M protein
2. Carbohydrate antigen
3. Cell wall peptidoglycan
4. T-protein

Correct answer: 2. Carbohydrate antigen

Explanation: Lancefield classification is a serological classification of beta hemolytic streptococci. This classification is based upon the detection on group specific carbohydrate antigen on the cell wall of streptococci. Beta hemolytic streptococci are classified into 21 serologic groups known as Lancefield groups designated from A to V. Griffith typing: Based on the presence of M, T, and R protein antigens present on the cell surface, Streptococcus pyogenes are classified into 80 serotypes. M protein is the most important type specific antigen. Ref: Textbook Of Microbiology And Immunology By Parija, page 191-2.